A raised serum creatinine phosphokinase level in unusual in -
1. Acute alcoholic myopathy
2. Viral polymyositis
3. Myopathy of cushing's syndrome
4. Duchenne's muscular dystrophy

Correct answer: 3. Myopathy of cushing's syndrome